All are seen in Crohn's disease EXCEPT
1. Poor perianal hygiene
2. Stricture formation
3. Crypt abscess
4. Rectum is commonly involved

Correct answer: 4. Rectum is commonly involved

Explanation: Ref: Robbins Pathology, 9th ed. pg. 798-99* Crohn's disease can lead to formation of perianal fistula which leads to poor perianal hygiene.* The stricture formation seen in Crohn's disease occurs due to transmural inflammation.* Most common part of GIT involved is ileum in Crohn's disease and rectum is spared.* Fecal lactoferrin is a highly sensitive and specific marker for detecting intestinal inflammation.* Fecal calprotectin levels correlate well with histological inflammation and predict relapses and detect pouchitis.